Category X drugs are all EXCEPT:
1. Warfarin
2. Methotrexate
3. Alprazolam
4. Simvastatin

Correct answer: 3. Alprazolam

Explanation: (Ref: Goodman & Gillman 13th ed. 1320-21; Katzung's Pharmacology 10th ed. Ch 60)Alprazolam comes under "Category D" drugsThe FDA has established five categories to indicate the potential of a drug to cause birth defects if used during pregnancy.These categories range from A to X, in increasing order of concern:Category ANo risk in controlled human studiesAdequate and well-controlled studies have failed to demonstrate a risk to the fetus in the first trimester of pregnancy (and there is no evidence of risk in later trimesters).Example drugs: Levothyroxine, Folic Acid, Magnesium Sulfate, LiothyronineCategory BNo risk in other studiesAnimal reproduction studies have failed to demonstrate a risk to the fetus and there are no adequate and well-controlled studies in pregnant women.Example drugs: Metformin, Hydrochlorothiazide, Cyclobenzaprine, Amoxicillin, PPIShould be prescribed only as needed for maternal health.Category CRisk not ruled outAnimal reproduction studies have shown an adverse effect on the fetus and there are no adequate and well-controlled studies in humans, but potential benefits may warrant use of the drug in pregnant women despite potential risks.Example drugs: Tramadol, Gabapentin, Amlodipine, Trazodone, PrednisonePrescribed in pregnancy only when benefit clearly outweighs risk.Category DPositive evidence of riskThere is positive evidence of human fetal risk based on adverse reaction data from investigational or marketing experience or studies in humans, but potential benefits may warrant use of the drug in pregnant women despite potential risks.Example drugs: Lisinopril, Alprazolam, Losartan, Clonazepam, LorazepamNot used during pregnancy. Should be prescribed only if absolutely necessary.Category XContraindicated in pregnancyStudies in animals or humans have demonstrated fetal abnormalities and/or there is positive evidence of human fetal risk based on adverse reaction data from investigational or marketing experience, and the risks involved in use of the drug in pregnant women clearly outweigh potential benefits.Example drugs: Atorvastatin, Simvastatin, Warfarin, Methotrexate, Finasteride Must not be used during pregnancy or in women likely to become pregnant.